The condyles of tibia provide attachment to -
1. Fibular collateral ligament
2. Tibial collateral ligament
3. Ligamentum patellae
4. Popliteus muscle

Correct answer: 2. Tibial collateral ligament

Explanation: Fibular collateral ligament - Head of the fibula
Tibial collateral ligament - Medial condyle of tibia
Ligamentum patellae - Upper smooth part of the tibial tuberosity
Popliteus muscle - Posterior surface of tibia in the triangular area above the soleal line.